Red degeneration of fibroid is associated with :
1. Pregnancy
2. Aseptic infection
3. Thrombosis and Leukocytosis both
4. All

Correct answer: 4. All

Explanation: All Correct